Contrast used in CT –
1. Gadolinium
2. Technitium
3. Iodine
4. Chromium

Correct answer: 3. Iodine

Explanation: Iodinated contrasts are the most commonly used radiocontrast media in radiography and CT.